Which of the following are derivatives of amino acid Glycine
1. Heme
2. Creatinine
3. Glutathione
4. All of the above

Correct answer: 4. All of the above

Explanation: Derivatives of Glycine are:

Heme
Purine ring
Glutathione
Creatine, creatine phosphate, creatinine

Note: Glycine is not a part of pyramidine ring.